One TB infected person can infect how many people in 1 year?
1. 10
2. 30
3. 20
4. 5

Correct answer: 1. 10